Which is an uricosuric drug-
1. Allopurinol
2. Probenecid
3. Indomethacin
4. Aspirin

Correct answer: 2. Probenecid

Explanation: Ans. is 'b' i.e., Probenecid Uricosuric drugs are probenacid, sulfinpyrazone and benzbromarone.